Which of the following is a charactersistic radiological finding in neonatal necrotizong enterocolitis ?
1. Gas in the portal system
2. Gas in the intestinal wall
3. Pneumoperitonium
4. Air fluid levels

Correct answer: 2. Gas in the intestinal wall

Explanation: Ans. is 'b' i.e., Gas in intestinal wall